Which of the following does not have non-human reservoir -a)  Salmonella typhib)  N. Gonorrhoeac)  E colid)  Clostridium tetani e)  Treponema pallidum
1. ed
2. dca
3. abe
4. ac

Correct answer: 3. abe